All the following are causes of iron deficiency anemia except
1. Chronic renal failure
2. Celiac sprue
3. Hookworms
4. Carcinoma colon

Correct answer: 1. Chronic renal failure

Explanation: Ref Harrison 19 th ed pg 627 Table: 126-2 Causes of Iron Deficiency Increased Demand for Iron Rapid growth in infancy or adolescence 2.Pregnan 3.Erythropoietin therapy 4.Increased Iron Loss Chronic blood loss 1.Menses Acute blood loss 1.Blood donation 2.2.Phleboto as treatment for polycythemia vera Decreased Iron Intake or Absorption 1.1.Inadequa diet 2.Malabsorption from disease (sprue, Crohn's disease) 3.Malabsorption from surgery (gastrectomy and some forms of bariatric surgery) Acute or chronic inflammation